Inosine is biological precursor of:
1. Orotic acid and Uridylic acid
2. Uracil and Thymine
3. Adenylic acid, Guanylic acid
4. Purines and Thymine

Correct answer: 3. Adenylic acid, Guanylic acid

Explanation: IMP (Inosine Mono Phosphate) the first purine nucleotide to be formed. It is the parent nucleotide which synthesize AMP & GMP and then diphosphate and triphosphate forms can be synthesized.